According to Misch bone density classification D2 is
1. > 1250 Hounsfield units
2. 350 — 850 Hounsfield units
3. 850 — 1250 Hounsfield units
4. 150 — 350 Hounsfield units

Correct answer: 3. 850 — 1250 Hounsfield units